A 20-year-old woman presents with a 2-year history of difficulty swallowing and increasing fatigue. A CBC shows Iron-deficiency anemia. Upper endoscopy reveals an annular narrowing in the upper third of the esophagus. A mucosal biopsy shows no evidence of inflammation or neoplasia. Which of the following is the most likely diagnosis?
1. Achalasia
2. Barrett esophagus
3. Diverticulum
4. Esophageal web

Correct answer: 4. Esophageal web

Explanation: Plummer-Vinson syndrome is characterized by: Cervical esophageal web/ rings Mucosal lesions of the mouth and pharynx Iron-deficiency anemia.